Sudden decrease in atmospheric pressure in deep sea divers resulting in "bends" and 'Chokes" are features of
1. Air embolism
2. Fat embolism
3. Aspiration pneumonia
4. Gangrene

Correct answer: 1. Air embolism